Most accurate method of diagnosis of pregnancy at 6 weeks:
1. Hegar's sign
2. X-ray examination
3. Palpation of fetal parts
4. Fetal heart sound by USG

Correct answer: 4. Fetal heart sound by USG

Explanation: Ans. Fetal heart sound by USG